LMN involves:
1. Peripheral nerves
2. Anterior horn cell
3. Anterior nerve root
4. All

Correct answer: 4. All

Explanation: A i.e. Peripheral nerve; B i.e. Anterior horn cell; C i.e. Anterior nerve root